Which of following statements about extrapyramidal effects of antipsychotic drugs is FALSE?
1. Caused by blockade of dopamine receptors
2. Less likely to be produced by clozapine than by chlorpromazine
3. Can be countered to some degree by antimuscarinic drugs
4. Haloperidol does not cause extrapyramidal syndrome

Correct answer: 4. Haloperidol does not cause extrapyramidal syndrome

Explanation: (Ref: KDT 6/e p430, 431, 432) Extrapyramidal adverse effects of antipsychotic drugs are due to blockade of dopamine receptors. These are less often seen with atypical anti-psychotics like clozapine and risperidone (and more often with classical drugs like haloperidol and chlorpromazine). These effects can be treated with central anticholinergic drugs like benztropine and trihexiphenidyl.